The accessory pancreatic duct opens on which of the following structure ?
1. major duodenal papillae
2. minor duodenal papillae
3. Arch of plica semicircularis
4. plica longitudinalis

Correct answer: 2. minor duodenal papillae

Explanation: The minor duodenal papilla is present 6 to 8 cm distal to the pylorus, and presents the opening of the accessory pancreatic duct. Ref : B D Chaurasia's Human Anatomy , seventh edition , volume 2 , pg. no., 287. Fig Ref : B D Chaurasia's Human Anatomy , seventh edition , volume 2 , pg. no., 329 ( fig. 23.16 ).